Which one is not associated with peptic ulcer?
1. Cirrhosis
2. Smoking cigarette
3. Zollinger-Ellison's syndrome
4. Plummer-Vinson syndrome

Correct answer: 4. Plummer-Vinson syndrome

Explanation: Stress, anxiety: 'hurry, worry, curry' -- H. pylori (90%) -- NSAIDs, steroids -- Blood group O+ve -- Endocrine: Zollinger-Ellison syndrome, MEN-1, Cushing's syndrome, hyperparathyroidism -- Alcohol, smoking, vitamin deficiency -- Chronic pancreatitis, Cirrhosis